Which of the following is the indication for using goniometer?
1. Amount of vaginal secretions
2. To measure width of genital hiatus
3. Gonococcal colony count
4. Urethrovesical angle

Correct answer: 4. Urethrovesical angle

Explanation: Goniometer is used for measuring urethrovesical angle during Q-tip test for urinary incontinence. Q-Tip Test: If a urethra is poorly supported, it may display hypermobility during increases in intraabdominal pressures. To assess mobility, a clinician places the soft end of a cotton swab into the urethra to the urethrovesical junction. Failure to insert the swab to this depth typically leads to errors in assessment of urethrovesical junction support. Following local anaesthesia, a Valsalva maneuver is prompted, and the swab-excursion angle at rest and with Valsalva maneuver is measured with a goniometer or standard protractor. An excursion angle from rest and with Valsalva maneuver that measures >30 degrees above the horizontal plane indicates urethral hypermobility. Ref: Hoffman B.L., Schorge J.O., Schaffer J.I., Halvorson L.M., Bradshaw K.D., Cunningham F.G., Calver L.E. (2012). Chapter 23. Urinary Incontinence. In B.L. Hoffman, J.O. Schorge, J.I. Schaffer, L.M. Halvorson, K.D. Bradshaw, F.G. Cunningham, L.E. Calver (Eds), Williams Gynecology, 2e.